Which among the following statement is not true?
1. Superior thyroid artery is a branch of ext. carotid art
2. Posterior branch of superior thyroid artery supplies parathyroid gland
3. Inferior thyroid artery is branch of thyrocervical trunk
4. Thyroid ima artery is invariably a branch of arch of aorta

Correct answer: 4. Thyroid ima artery is invariably a branch of arch of aorta

Explanation: The thyroid ima artery is infrequent (10%) and variable in its orgin. It arises from the brachiocephalic artery, aortic arch, right common carotid artery, internal thoracic artery, or subclavian artery.